Vertical compaction of warm gutta-percha technique
was given by?
1. Grossman
2. Ingle
3. Schilder
4. Cohen

Correct answer: 3. Schilder